Dorsiflexion of ankle joint is by
1. Tibialis anterior
2. Peroneus longus
3. Tibialis posterior
4. Soleus

Correct answer: 1. Tibialis anterior

Explanation: Muscles producing movements of ankle - A. Dorsiflexion : Tibialis anterior is the principal muscle,(Extensor digitorum anterior longus, Extensor hallucis longus,Peroneus tertius are the accessory muscles) B. Plantar flexion : Gastrocnemius and Soleus are the principal muscles ( plantaris, Tibialis posterior, Flexor hallucis longus, Flexor digitorum longus are the accessory muscles) Ref : B D Chaurasia's Human Anatomy , seventh edition , volume 2 , pg. no. 161 ( table 12.3 )